The type of estrogen found in highest concen- tration in adult female is-
1. Estrone
2. Estriol
3. Estradiol
4. None

Correct answer: 3. Estradiol

Explanation: Ans. is 'c' i.e.. Estradiol f Ref: Principles of medical physiology p. 216]o Estradial, estrone and estrial, all three are found in blood, but estradiol is the most potent estrogen.o Major estrogen in normal adult women - Estradiolo Major estrogen in postmenoapusal women - Estroneo Major estrogen in pregnant women - Estriol.o In post menopausal women estrogen is formed in peripheral tissues most commonly in adipose tissue, liver kidney and brain.